The amino acid which on decarboxylation gives rise to a product with potent vasodilator properties is
1. Histidine
2. Arginine
3. Glutamate
4. Aspartate

Correct answer: 1. Histidine

Explanation: Neurotransmitters obtained from amino acids Amino acidNeurotransmitterNature/FunctionGlutamateGABAInhibitory neurotransmitterHistidineHistaminePotent vasodilator, bronchospasm, stimulates gastric acid secretionTyrosineTyramine, Epinephrine, Norepinephrine, Dopamine, DOPATryptophan5-hydroxytryptamine (Serotonin)Regulation of pleasures related to motivation & emotional arousal. Regulate appetite, sleep, memory and learning, temperature, mood. MelatoninConnected with sleep-wake cycle and biological rhythm. Blocks MSH and ACTH secretions CysteineTaurineInhibitory neurotransmitterGlycineGlycineInhibitory neurotransmitterGlutamateGlutamateExcitatory neurotransmitterAspartateAspartateExcitatory/Inhibitory neurotransmitterArginineNitric oxideVasodilator